Which of the following is an indication for the use of raloxifene ?
1. Chronic renal failure
2. Hypoparathyroidism
3. Renal osteodystrophy
4. Post–menopausal osteoporosis

Correct answer: 4. Post–menopausal osteoporosis